All of the following condition causes hyperkalemia during administration of succinylcholine, EXCEPT:
1. Muscular Dystrophy
2. Aortic aneurysm
3. Abdominal Sepsis
4. Burns

Correct answer: 2. Aortic aneurysm

Explanation: Conditions causing susceptibility to succinylcholine-induced hyperkalemia: Burn injury Massive trauma Severe intra abdominal infection Spinal cord injury Encephalitis Stroke Guillain-Barre syndrome Severe Parkinson's disease Tetanus Prolonged total body immobilization Ruptured cerebral aneurysm Polyneuropathy Closed head injury Hemorrhagic shock with metabolic acidosis Myopathies (eg, Duchenne's dystrophy) Ref: Butterworth IV J.F., Butterworth IV J.F., Mackey D.C., Wasnick J.D., Mackey D.C., Wasnick J.D. (2013). Chapter 11. Neuromuscular Blocking Agents. In J.F. Butterworth IV, J.F. Butterworth IV, D.C. Mackey, J.D. Wasnick, D.C. Mackey, J.D. Wasnick (Eds), Morgan & Mikhail's Clinical Anesthesiology, 5e.